The surface marking of the arch of aorta is as follows -
1. Behind the manubrium sterni
2. 2nd intercostal space
3. 3rd intercostal space
4. Left 2nd costal cartilage

Correct answer: 1. Behind the manubrium sterni

Explanation: Arch of Aorta surface marking

Right end of sternal angle
Centre of manubrium sterni
Sternal end of left second costal cartilage

These points when connected lies behind the lower half of manubrium sterni.